Hirsuitism is caused by all of the following, except:
1. Acromegaly
2. Hyperthyroidism
3. Cushing's syndrome
4. Hyperprolactinemia

Correct answer: 2. Hyperthyroidism

Explanation: Hirsutism, is defined as androgen-dependent excessive male-pattern hair growth, it affects approximately 10% of women. Endocrine causes of hirsuitism includes congenital adrenal hyperplasia, adrenal neoplasms, cushing's syndrome, hyperprolactinemia and acromegaly. Hyperthyroidism is not associated with hirsuitism. Ref: Harrison's Internal Medicine, 18th Edition, Chapter 49